"Inflation of lungs induces further inflation" this is explained by
1. Hering-Breuer inflation reflex
2. Hering-Breuer deflation reflex
3. Head's paradoxical reflex
4. J-reflex

Correct answer: 3. Head's paradoxical reflex

Explanation: Head's paradoxical reflex is paradoxical to Hering- Breuer inflation reflex This reflex might be the cause for inflation of the lungs in the newborn when the newborn takes the first breath